HLA associated with psoriasis is ?
1. HLA B27
2. HLA DR4
3. HLA CW6
4. HLA B8

Correct answer: 3. HLA CW6

Explanation: Robbins and Cotran pathologic basis of disease South Asia edition. *psoriasis is a chronic inflammatory dermatitis,there is a strong association with HLA Cw0602 allele .